Lucent Hemithorax is due to all the following except?
1. Rotation
2. Swyer-James McLeod Syndrome
3. Foreign Body
4. Lung Collapse

Correct answer: 4. Lung Collapse

Explanation: *Lung Collapse causes a Opaque Hemithorax with Ipsilateral mediastinal shift Features of lung collapse: - Volume loss of lung with Opacification ( Not lucent) - Displacement of fissures - Ipsilateral shift of trachea and mediastinum - Bronchial Cut off sign - Crowding of Ribs - Elevation of ipsilateral hemidiaphragm - Compensatory hyperinflation of normal lobes